True about Mental retardation:
1. More common in female than male
2. Severe MR is IQ <20
3. Antenatal factor can cause mental retardation
4. All

Correct answer: 3. Antenatal factor can cause mental retardation

Explanation: C i.e. Antenatal factor can cause mental retardation - Mental retardation (intellectual disability) is not a single disorder but a behavior syndrome consisting of a triad of significant limitation in intellectual (IQ and onset prior to age 18. It is not diagnosed by subavrage IQ alone. ID does not have to be life long and all people with ID have an ability to learn and progressQ; and all possess strength which must be supported in any habilitation program. - Mental retardation is more common in menQ (M:F = 1.5:1). Prenatal (antenatal) factors like toxoplasma, CMV etc can cause mental retardationQ. - Fragile X - Syndrome is the second most common (after Down' syndrome) cause of mental retardation; & it is X-linked disorder. - Mild M.R. is commonest typeQ. M.R. (IQPtropf SchizophreniaQ.I.Q. measurement generally has an error of '5' so I.Q. 50 means I.Q. is 50 +- 5. - IQ 70-50 is mild MR and < 20 is profound MRQ. - Intellectual disability is preferred term over mental retardation (used in ICD-10 & DSM IV TR) and learning disability (used in UK) and the definition involves 2 core components : a general deficit in cognitive functioning, which emerges during childhood (communication, self care, home living,social/interpersonal skills, use of community resources, self direction functional academic skills, work, leisure, health and safety. If a person has an IQ close to cutoff point (within + 5 points), the diagnosis will depend on adaptive functioning level. Therefore a person may qualify for the diagnosis of ID in school age when learning is impaired by poor academic skills but may lose this diagnosis later with the acquisition of work skills important for an adult.